The lymphatic drainage of testes is -
1. Inguinal L.N.
2. Mesenteric L.N.
3. Para-aortic L.N.
4. Obturator L.N.

Correct answer: 3. Para-aortic L.N.

Explanation: Testes drains into para-aortic lymph nodes.